Ossicular ratio is =
1. 1.3 : 1
2. 1.2 : 1
3. 1.1 : 1
4. 1:01

Correct answer: 1. 1.3 : 1